Sharp stabbing pain is carried by which type of fibers -
1. Aa
2. Ad
3. B
4. C

Correct answer: 2. Ad

Explanation: Ans. is 'b' i.e., A5 * Pain is carried by two types of neurons :a) Ad fibers : Fast fibers carrying sharp well localized pain.b) C fibers: Poorly localized dull and acting pain.